Kala-azar is transmitted by ?
1. Reduvid bug
2. Sandfly
3. Tsetse fly
4. Mosquito

Correct answer: 2. Sandfly

Explanation: Ans. is 'b' i.e., Sandfly